Palpable purpura is seen in
1. Idiopathic thrombocytopenic purpura (ITP)
2. Scurvy
3. Henoch Sconlein Purpura
4. Monoclonal cryoglobulinemia

Correct answer: 3. Henoch Sconlein Purpura

Explanation: Answer is C (H. S. Purpura): Henoch Sconlein Purpura is associated with palpable purpura without thrombocytopeniae